Synthesis of secretory proteins takes place in
1. Golgi complex
2. Endoplasmic reticulum
3. First in cytoplasm then in nucleus
4. First in endoplasmic reticulum then in cytoplasm

Correct answer: 2. Endoplasmic reticulum

Explanation: Secretory proteins are synthesized in EPR Reference: Harper; 30th edition